Which one of the following causes intestinal pseudo obstruction?
1. Hypothyroidism
2. Tricyclic antidepressant
3. Parkinsonism
4. All the above

Correct answer: 4. All the above

Explanation: Intestinal pseudo obstruction is caused by the following 1) Disorders of the nervous system (Familial autonomic dysfunction, Hirschsprung disease, Chagas disease) 2) Diseases affecting muscles and nerves (Muscular dystrophy, SLE, Ehlers-Danlos syndrome, hypokalemia) 3) Disorders of the endocrine system (DM, Hypothyroidism, Hyperparathyroidism), and 4) Medication (Narcotics, Laxatives, Tricyclic antidepressants, Phenothiazines).Ogilive's syndrome is acute intestinal pseudo obstruction.